All of the following statements are true regarding losartan except
1. It is competitive angiotensin receptor antagonist
2. It has a long acting metabolite
3. Associated with negligible cough
4. Causes hyperuricemia

Correct answer: 4. Causes hyperuricemia

Explanation: Refer kDT 6/e 488 Pleasanton is a non competitive ATI receptor antagonist. It does not increase bradykinin level anthers is not associated with cough and angioedema. It produces a long acting metabolite. Does not cause hyperuricemia